All are seen in Tuberous sclerosis except –
1. Iris nodule
2. Renal cortical cyst
3. Rhabdomyoma of heart and lung
4. Adenoma sebaceum

Correct answer: 1. Iris nodule

Explanation: Iris nodule (Lisch nodule) is seen in neurofibromatosis (not in tuberous sclerosis).